Most common renal stone is
1. Triple phosphate
2. Calcium oxalate
3. Uric acid
4. Salicylate

Correct answer: 2. Calcium oxalate

Explanation: Calcium oxalate stones - 60% Phosphate stones( hydroxyapatite and brushite) - 22% Uric acid stones -7 % ,struvite 7%.Cystine stones - 2% Reference : Campbell and Walsh urology 11th edition , chapter 51 , pg no 1181